In which type of hypoxia does administration of O2 would have maximum benefit ?
1. Stagnant hypoxia
2. Hypoxic hypoxia
3. Histotoxic hypoxia
4. Anemic hypoxia

Correct answer: 2. Hypoxic hypoxia

Explanation: Hypoxic hypoxia Low atmospheric Po2 leads to low arterial Po2. Hence,supplemental O2 can be helpful. Administration of oxygen-rich gas has limited value in anemic, histotoxic, and stagnant hypoxia because supplemental O2 can only increase the amount of dissolved O2 in the arterial blood as the O2-carrying capacity of the blood is otherwise normal in these conditions.